In a patient only Anti HBsAg is positive in serum, all other viral markers are negative. This indicates
1. Acute hepatitis
2. Chronic active hepatitis
3. Persistent carrier
4. Immunized person with hepatitis B vaccine

Correct answer: 4. Immunized person with hepatitis B vaccine

Explanation: Ans. is A i.e Immunized person with hepatitis B vaccine Isolated Anti-HBsAg is seen in - Immunization with HBs AgRemote past infectionFalse positive.